Golden color amniotic fluid is seen in :
1. Rh incompatibility
2. Fetal Death
3. lUGR
4. Fetal distress

Correct answer: 1. Rh incompatibility

Explanation: Abnormal colors of amniotic fluid : Green : Meconium stained Golden yellow : Rh incompatibility Saffron(greenish yellow) : Postmaturity Dark brown(tobacco juic : IUD Dark colored : concealed accidental hemorrhage Reference: Dutta Textbook of Obstetrics 7th edition page 38